Microbiologic studies on a gram-positive coccus isolated from a skin abscess demonstrate a positive catalase test and a positive coagulase test. This is most consistent with which of the following organisms?
1. S. aureus
2. S. epidermidis
3. S. pneumoniae
4. S. pyogenes

Correct answer: 1. S. aureus

Explanation: All of the organisms listed are gram-positive cocci. The positive catalase test excludes the Streptococci, S. pyogenes, and S. pneumoniae. Of the Staphylococci, only S. aureus has a positive coagulase test. S. epidermidis and S. saprophyticus are coagulase-negative Staphylococci. Ref: Ray C.G., Ryan K.J. (2010). Chapter 24. Staphylococci. In C.G. Ray, K.J. Ryan (Eds), Sherris Medical Microbiology, 5e.